All of the following are indications for cystogram, EXCEPT:
1. Ca bladder
2. Stress incontinence
3. Bladder rupture
4. Polycystic kidney disease

Correct answer: 4. Polycystic kidney disease

Explanation: Cystogram is used to evaluate bladder filling defects (tumors, diverticula) and bladder perforation. Cystography and cystourethrography are important radiologic techniques for detecting vesicoureteral reflux and may be used in the workup of patients with urinary stress incontinence. CT cystography (CT of the pelvis after the instillation of dilute contrast medium into the bladder) has been shown useful in the evaluation of traumatic bladder rupture. Ref: Gerst S.R., Hricak H. (2008). Chapter 6. Radiology of the Urinary Tract. In E.A. Tanagho, J.W. McAninch (Eds), Smith's General Urology, 17e.